A 8 year old male had non blanching rashes over the shin and swelling of knee joint with haematuria +++ and protein +. Microscopic analysis of his renal biopsy specimen is most likely to show?
1. Tubular necrosis
2. Visceral podocyte fusion
3. Mesangial deposits of IgA
4. Basement membrane thickening

Correct answer: 3. Mesangial deposits of IgA

Explanation: Answer is C (Mesangial deposits of IgA): Presence of non blanching rash (Purpura), swelling of knee (Arthralgia) along with haematuria (glomerulonephritis) suggests the diagnosis of Henoch- Schonlein purpura. H.S purpura is characterized by deposition of IgA in the mesangial region (Robbins)